Risk factors for carcinoma Gallbladder are all except
1. Choledochal cysts
2. Xanthogranulomatous Cholecystitis
3. Calcification of gallbladder
4. Gallstone

Correct answer: 2. Xanthogranulomatous Cholecystitis

Explanation: Risk factors for Carcinoma Gallbladder Gallstones >3cm Procelain gallbladder Anomalous pancreaticobiliary junction (APBDJ) Choledochal cysts Adenomatous polyps Primary sclerosing cholangitis Obesity Salmonella typhi infection Ref: Sabiston 20th edition Pgno :1510